Which of the following tracts is seen in the posterior column of spinal cord?
1. Lateral spinothalamic tract
2. Fasciculus gracilis
3. Corticospinal tract
4. Posterior spinocerebellar

Correct answer: 2. Fasciculus gracilis

Explanation: Posterior column of spinal cord contains: Fasciculus cuneatus ( carries upper body sensations) & Fasciculus gracilis ( carries lower body sensations) tracts Responsible for vibration sense, two-point discrimination and conscious proprioception.